Common features of haemolytic anemia are -a) ↓ RBC life spanb) ↑ Haptoglobulin c) Unconjugated hyperbilirubinemiad) Bile salt and bile pigments in urinee) Erythroid and Myeloid ratio altered
1. acd
2. ace
3. cde
4. ade

Correct answer: 2. ace